Pseudopolyps are common with
1. Ulcerative colitis
2. Crohn's disease
3. CA colon
4. Diverticulosis

Correct answer: 1. Ulcerative colitis

Explanation: Ans. (a) Ulcerative colitisRef: Sabiston 20th edition, Page 1260* Pseudo polyps are uninvolved areas in colon in ulcerative colitis.* If cancer arises in ulcerative colitis it arises from intervening areas of pseudo polyps.